Pharyngeal tonsil is lined by?
1. Simple cuboidal epithelium
2. Pseudostratified columnar epithelium
3. Keratinizing stratefied squamous epithelium
4. Nonkeratinizing stratefied squamous epithelium

Correct answer: 2. Pseudostratified columnar epithelium

Explanation: On the posterior wall of pharynx is a prominence, best marked in childhood, produced by a mass of lymphoid tissue, which is known as the pharyngeal tonsil.The pharyngeal tonsil is a single tonsil situated in the superior-- posterior portion of the pharynx. It is covered by ciliated pseudostratified columnar epithelium. Ref: Anatomy of the Human Body Henry Gray.